First line drug choice for management of hypertension in patients with angina:
1. Beta Blockers
2. ACE Inhibitors
3. Calcium Channel Blockers
4. Hydralazine

Correct answer: 1. Beta Blockers

Explanation: Answer is A (Beta Blockers) 'Hypertension: A companion to Braunwald's Heart Disease (Elsevier) 2007/335 Beta-blockers are the first line drugs of choice for treatment of hypertension in patients with coronary artery disease & stable angina `Beta blockers are the first line choice when treating hypertension in a patient with coronary artery disease' -- Evidence Based Medicine Guidelines (John Wiley & Sons) 'Beta blockers reduce angina symptoms, improve mortality and lower BP, and they should be the drugs offirst choice in hypertensive patients with CAD and stable angina' -- 'Hypertension: A companion to Braunwald's Heart Disease'